Thickest portion of sclera is ?
1. Anterior to rectus muscle insertion
2. Posterior to rectus muscle insertion
3. Posterior pole
4. Limbus

Correct answer: 3. Posterior pole

Explanation: Ans. is 'c' i.e., Posterior pole o The thickness of the sclera varies according to location : ? At the limbus, the sclera is 0.8 mm thick. Anterior to the rectus muscle insertions, it is 0.6 mm thick. Posterior to the rectus muscle insertions, it is 0.3 mm thick (Thinnest portion). At the equator, it is 0.5 to 0.8 mm thick. At the posterior pole, it is greatest than 1 mm thick.